Which of the following does not form a boundary of the triangle of auscultation:
1. Serratus anterior
2. Latissimusdorsi
3. Trapezius
4. Scapula

Correct answer: 1. Serratus anterior

Explanation: Serratus anterior